Suprapleural membrane is a remnant of
1. Scalenus anterior
2. Scalenus minimus
3. Subclavius
4. Scalinus medius

Correct answer: 2. Scalenus minimus

Explanation: Suprapleural membrane/ Sibson's fascia is a remnant of Scalenus minimus.